Retained placenta can lead to:
1. Placental polyp
2. Prolonged bleeding
3. Puerperal sepsis
4. All of the above

Correct answer: 4. All of the above

Explanation: Ans. D: All of the above The risk involved in prolonged retention of placenta are: Hemorrhage Shock Puerperal sepsis Risk of reccurence in next pregnancy